Regarding vascular surgery distal to popliteal artery, which of the following is true?
1. Suture with polypropylene
2. 6-0 suture used
3. Needle pass from within outwards
4. All the above

Correct answer: 4. All the above

Explanation: Ans. (d) All of the above(Ref: Bailey 26/e p44-45)Vascular anastomosis Points:* Most critical anastomosis of all tissues in vascular.* Needs fine suture and even operating microscope for smaller vessels* 2'0 size is used for Aorta, 4'0 is used for Femoral artery, 6'0 for medium sized arteries like Popliteal and tibial arteries.* Suture materials commonly used are Prolene, PDS or Dacron.* Knots must be secure.* The suture needle must always pass from Inside to Outside (Intima to outside)* It must be immediately watertight. No leak must be seen after anastomosis.Remember based on the thickness the suture materials are named as* 2'>1'>0>2'0>4'0>6'0>8'0(Finest material of the above is 8'0 and thickest is 2')